Drug of choice for primary prophylaxis for acute rheumatic fever?
1. Erythromycin-1.2 million units
2. Erythromycin-1.2 lakh units
3. Benzathine penicllin-1.2 lakh units
4. Benzathine penicillin-1.2 million units

Correct answer: 4. Benzathine penicillin-1.2 million units

Explanation: Prophylaxis of ARF: 1.primary-To stop streptococcal pharyngitis to procede to ARF In this,Antibiotics are given for a week. DOC-injection benzathine penicillin-1.2 million units(wt>27kgs);0.6 million units(wt<27 kgs). if patient is allergic to penicillins then macrolides are preferred. 2.secondary prophylaxis-To prevent recurrence. given during patient suffering from ARF. DRUG SAME AS PRIMARY-But every (3-4) weeks. if allergic-SULFADIAZINE is given. if also allergic to saulfadiazone,macrolides are preferred.